Internuclear opthalmoplegia is caused due to lesion in-
1. Occipital lobes
2. pretectal fibres
3. Medial longitudinal fasciculus
4. parapontine reticular fibers

Correct answer: 3. Medial longitudinal fasciculus

Explanation: Ans. is 'c' ie Medial longitudinal fasciculus Internuclear ophthalmoplegia is due to lesion of the medial longitudinal fasciculus (MCF)This medial longitudinal fasciculus or bundle is the pathway by which various ocular motor nuclei are linked.The lesion in MLF leads to disruption of conjugate horizontal eye movements.There is ipsilateral loss of adduction on horizontal gaze, however the eye is able to adduct during convergence.